Most abundant and common complement component for both the pathways is:
1. C3
2. C5
3. Clq
4. C8

Correct answer: 1. C3

Explanation: C3